Beefy red, foul-smelling genital granuloma with a bleeding ulcer on touch is seen in –
1. LGV
2. Chancroid
3. Primary syphilis
4. Donovanosis

Correct answer: 4. Donovanosis

Explanation: Red & Velvety (beefy red) ulcer with exuberant granulation tissue is seen in donovanosis (granuloma inguinale)
"Painless, beefy-red ulcer with a characteristic rolled edge of granulation tissue is seen in donovanosis.